Commonest presenting symptom of cervical carcinoma is :
1. Bleeding PV
2. Pain
3. White discharge PV
4. Dyspareunia

Correct answer: 1. Bleeding PV

Explanation: Bleeding PV